Schizophrenia with the worst prognosis
1. Catatonic
2. Paranoid
3. Hebephrenic
4. Undifferentiated

Correct answer: 3. Hebephrenic

Explanation: Hebephrenic schizophrenia Key Symptoms: Disorganized speech, behavior (often silly/ shallow) and flat or inappropriate affect Order of prognosis from good to bad in Schizophrenia: Catatonic > Paranoid > Undifferentiated > Hebephrenic > Simple Reference: Oxford Handbook of psychiatry; 3rd edition; Chapter 6; Schizophrenia and related psychoses